Colour dye detector is used for:
1. Detecting incipient carious lesions
2. Caries susceptibility
3. Differentiating between affected and effected dentin
4. All of the above

Correct answer: 3. Differentiating between affected and effected dentin